Subacute sclerosing panencephalitis occur as a complication of which of the following infection?
1. Pneumonia
2. Measles
3. Diphtheria
4. Pertussis

Correct answer: 2. Measles

Explanation: SSPE is a rare chronic, progressive demyelinating disease of the CNS associated with infection of the brain tissue with measles virus. These patients usually get measles infection by the age of two followed by a latent period of 6-8 years after which they develop neurologic symptoms. Most of the manifestations occur between 5 and 15 years of age. Initial manifestations include poor school performance and mood and personality changes. Later they develop progressive intellectual deterioration, focal and/or generalized seizures, myoclonus, ataxia, and visual disturbances. Ref: Roos K.L., Tyler K.L. (2012). Chapter 381. Meningitis, Encephalitis, Brain Abscess, and Empyema.